True statement about great saphenous vein
1. It begins at lateral end of dorsal venous arch
2. It runs anterior to medial malleolus
3. It is accompanied by sural nerve
4. Terminates into popliteal vein

Correct answer: 2. It runs anterior to medial malleolus

Explanation: The great saphenous vein is formed on the dorsum of foot by the union of the medial end of dorsal venous arch of foot and medial marginal vein of the foot. It runs 2.5 cm in front of medial malleolus It drains into femoral vein after piercing femoral sheath. It is accompanied by the saphenous nerve Reference: Textbook of anatomy, Abdomen and lower limb, Vishram Singh, 2nd edition, page no.459-460